Drug that does not cause sedation
1. Buspirone
2. Nitrazepam
3. Zopiclone
4. Diazepam

Correct answer: 1. Buspirone